The harm to which of the following is not Injury as per 44 IPC
1. Mind
2. Body
3. Soul
4. Property

Correct answer: 3. Soul

Explanation: Injury: Any harm, whatever illegally, caused to any person in body, mind, reputation or property (Sec. 44 IPC) Sec. 319 IPC: Whoever causes bodily pain, disease or infirmity to any person is said to cause hurt.